Diagonsis of tetanus is made by :
1. Culture of bacteria from wound
2. Clinically
3. Four fold raise in antibody against tetanus toxin
4. Gram staining of biopsy from wound

Correct answer: 2. Clinically